Which of the following has the most prominent spine?
1. C7
2. T2
3. C2
4. L3

Correct answer: 1. C7

Explanation: Ans: a (C7) Ref: Snells 6th edp 821/822; BDC 4th ed vol 3 p 40., vol 2 p 182, vol 1 p 198C7is a prominent vertebra characterized by a very long spinous process, because of this prominent process C7 is called vertebra prominens.T1 to T4 vertebra have same features of cervical vertebra.Lumbar spinous process is short and sturdy.Characteristics of vertebrae:CharacteristicsCervicalThoracicLumbarvertebral foramentriangularcirculartriangularvertebral bodysmall and broad from side to sideheart shapedlarge kidney shapedsup. articular facetbackwards and upwardsbackwards and laterallyface mediallyinf articular facetdownwards and forwardsforwards and mediallyface laterallyspinous processsmall bifidlong and inclined downwardsshort, flat quadrangular